A 52-year-old woman with a history of systemic hypertension and chronic renal failure undergoes kidney transplantation, but the graft fails to produce urine. A renal biopsy is diagnosed as "hyperacute transplant rejection." Graft rejection in this patient is caused primarily by which of the following mediators of immunity and inflammation?
1. Cytotoxic T lymphocytes
2. Helper T lymphocytes
3. Mononuclear phagocytes
4. Preformed antibodies

Correct answer: 4. Preformed antibodies

Explanation: Hyperacute rejection Occurs within minutes to hours after transplantation. Manifested clinically as a sudden cessation of urine output, along with fever and pain in the area of the graft site. This immediate rejection is mediated by preformed antibodies and complement activation products. -Lymphocytes and macrophages (choices A, B, and C) are associated with acute and chronic graft rejection.